Which of the following statements best describes the sulcus limitans?
1. It is found in the interpeduncular fossa
2. It is located between the alar and basal plates
3. It seperates the medulla from the pons
4. It seperates the hypothalamus from the thalamus

Correct answer: 2. It is located between the alar and basal plates

Explanation: The sulcus limitans seperates the sensory alar from the motor basal plates. It is found in the developing spinal cord and on the surface of the adult rhomboid fossa of the fourth ventricle. The bulbopontine sulcus (inferior pontine sulcus) seperates the medulla from the pons. The hypothalamic sulcus seperates the thalamus from the hypothalamus. The rhinal sulcus seperates the neocortex from the allocortex. Ref: Lagman's Embryology 14th edition Pgno: 336